Which of the follow ing is used in management of diabetes?
1. Bromocriptine
2. Octreotide
3. Prednisolone
4. Pegvisomant

Correct answer: 1. Bromocriptine

Explanation: Ans. is 'a' i.e.. Bromocriptine o Bromocriptine is recently included as antidiabetic# Quick-release formulation of bromocriptine is thought to act on circadian neuronal activities within the hypothalamus to reset abnormally elevated hypothalamic drive for increased plasma elucose, trislvceride. and free fatty' acid levels in fasiins and postprandial states in patients with insulin-resistance.